Commonest site of a rodent ulcer is
1. Limbs
2. Face
3. Abdomen
4. Trunk

Correct answer: 2. Face

Explanation: Rodent ulcer is synonymous with basal cell carcinoma.
90% of basal cell carcinomas are seen in the face, above a line from the corner of mouth to the lobule of ear. The commonest site is around the inner canthus of the eye (also k/a Tear cancer).